Gene instability associated with malignancy is seen in -
1. Klippel fiel syndrome
2. Ataxia telangiectasia
3. Marfan'g syndrome
4. EDS

Correct answer: 2. Ataxia telangiectasia

Explanation: Ans. is 'b' i.e., Ataxia telangiectasiaSyndromes of defective DNA repair have such a high level of chromosomal instability that they are known as chromosome-breakage syndromes or chromosomal instability syndromes.